Not a cell adhesion protein:
1. Anchorin
2. Integrin
3. Selectins
4. Cadherin

Correct answer: 1. Anchorin

Explanation: (Refer: Ganong’s Review of Medical Physiology, 24th edition, pg no: 41-43)
Cell adhesion molecules (CAM)

Prominent parts of intercellular connections.
CAM attached cells to basal lamina and to each other.

Types of CAM